Bicarbonate is absorbed
1. Directly in PCT
2. Directly in DCT
3. Indirectly PCT
4. Indirectly in DCT

Correct answer: 3. Indirectly PCT

Explanation: Ans. (c) Indirectly PCT(Ref: Ganongy 25th ed/p.679)For every H+ ion secreted out, one bicarbonate ion is resorbed indirectly in PCT